The large kidney is seen in A/E -
1. Benign nephrosclerosis
2. Lymphoma
3. Amyloidosis
4. DM

Correct answer: 1. Benign nephrosclerosis